Erythroblastosis foetalis is an example of which type of hypersensitivity?
1. Type 1
2. Type 2
3. Type 3
4. Type 4

Correct answer: 2. Type 2

Explanation: Ans. is 'b' i.e., Type 2 * Erythroblastosis foetalis is type 2 hypersensitivity reaction between maternal IgG and fetal blood antigen.HYPERSENSITIVITYType I (IgE mediated)Type II (IgG, IgM and complement mediated)* Eczema* Hay fever* Asthma* Atopy* Urticaria* Anaphylactic shock* Acute dermatitis* Theobald smith phenomenon* Prausnitz Kusnter (PK) reaction* Casonis test* Schultz-Dale phenomenon* Blood transfusion reactions* Erythroblastosis fetalis* Autoimmune hemolytic anemia or thrombocytopenia or agrnulocytosis* Pemphigus vulgaris* Good pasture syndrome* Bullous pemphigoid* Pernicious anemia* Acute rheumatic fever* Diabetes mellitus* Graves disease* Myasthenia gravisType III (IgG, IgM, complement and leucocyte mediated)Type IV (T-Cell mediated)* Local-Arthus reaction* Systemic-serum sickness* Schick test* Polyarteritis nodosa (PAN)* Rheumatoid arthritis* SLE* Acute viral hepatitis* Penicillamine toxicity* Hyperacute graft rejection* Type 2 lepra reaction (ENL)* Hypersensitivity pneumonitis* R.A* Infective endocarditis* Henoch schonlein purpura* Glomerulonephritis* Tuberculin test* Lepromin test* Sarcoidosis* Tuberculosis* Contact dermatitis* Granulomatous inflammation* Type I lepra reaction* Patch test* Temporal arteritis* Jones mote reaction (cutaneous basophilic HSN)* Graft rejection* Fairleys test* Fries test